Fracture of distal tibial epiphysis with anterolateral displacement is called:
1. Pott's
2. Cotton's
3. Triplane fracture
4. Tillaux Fracture

Correct answer: 4. Tillaux Fracture

Explanation: Tillaux fracture is an eponym describing a fracture of the anterolateral tibial epiphysis with anterolateral displacement that is commonly seen in adolescents. Because the ligament gives way instead of avulsing the tibial fragment from its epiphyseal attachment, resulting in a ligament injury known as a Tillaux lesion. It commonly is associated with skateboard and baseball (sliding) injuries. Bimalleolar ankle fracture is known as Pott's fracture. Cotton's fracture is the trimalleolar ankle fracture. A triplane fracture is a type IV Salter-Harris fracture of the closing physis of the distal tibia in adolescents with fracture lines occurring in the axial, sagittal, and coronal planes. It comprises of: Vertical fracture through the epiphysis Horizontal fracture through the physis Oblique fracture through the metaphysis